The spinal nerve pairs are -
1. 28
2. 30
3. 31
4. 33

Correct answer: 3. 31

Explanation: Spinal cord gives origin to 31 pairs of spinal nerves.